Inadvertent surgical occlusion of the ureter leads to-a) Complete renal atrophyb) Hematuriac) Renal failured) Hydronephrosise) Hypertension
1. b
2. c
3. ac
4. ad

Correct answer: 4. ad